Aspirin sensitive asthma is associated with -
1. Extrinsic asthma
2. Usually associated with urticaria
3. Associated with nasal polyp
4. Obesity

Correct answer: 3. Associated with nasal polyp

Explanation: Ans. is 'c' i.e., Associated with nasal polyp Aspirin sensitive respiratory syndrome primarily affects adults and is characterized by:Perennial vasomotor rhinitis|Hyperplastic rhino-sinusitiswith Nasal Polvps|Aspirin exposure|Block cycloxygenase withoutaffecting lipoxygenase|Increased leukotriene|Progressive Asthmao On exposure to even very small quantities of aspirin, affected individuals typically develop ocular and nasal congestion with acute, often severe, episodes of airway obstruction.